Which is not pyridoxine dependenta) Homocystinuria b) Maple syrup urine diseasec) Oxaluriad) Xanthinuria
1. c
2. bd
3. ab
4. ac

Correct answer: 2. bd

Explanation: Pyridoxal phosphate-dependent conditions are homocystinuria, cystathioninuria, oxaluria and xanthurenic aciduria.
Don't get confused option d (xanthinuria) with xanthurenic aciduria. Both are different conditions


In xanthurenic aciduria, there is excretion of xanthurenic acid (xanturenate), an alternative metabolite of tryptophan metabolism. This is pyridoxine-dependent.
In xanthinuria, there is excessive excretion of xanthine in the urine. This is due to deficiency of enzyme xanthine oxidase and it is not pyridoxine responsive.

About option b

Maple syrup urine disease is due to defective branched chain u-ketoacid dehydrogenase enzyme, and it may be associated with thiamine (vitamin B1) deficiency.